Which of the following statments is not true of McBurney's incsion -
1. Most suitable if the diagnosis of appendicitis is definite
2. If it is converted into a muscle cutting incision it is called Rutherford Morison's incision
3. Inguinal hernia is a sequlae of the incision
4. The incision can be extended upwards or downwards

Correct answer: 4. The incision can be extended upwards or downwards

Explanation: Incision is extended upwards and laterally not downwards.